In systemic senile amyloidosis there is deposition of?
1. AA
2. AL
3. Beta - 2- microglobulin
4. ATTR

Correct answer: 4. ATTR

Explanation: Ans. is 'd' i.e., ATTR Important systemic amyloidosisAmyloid proteinPrecursorSyndrome or involved tissueALImmunoglobulin light chainPrimary Myeloma associatedAASerum AA (SAA)Reactive, chronic inflammatory conditionA b2mb2 microglobulinHemodialysisAASAAFamilial mediterranean feverATTRTransthyretinFamilial amyloidotic polyneuropathiesATTRTransthyretinSystemic senile Amyloidosis (Systemic cardiac Amyloidosis)